Red velvety appearance of stomach mucosa is seen in the poisoning of
1. Lead
2. Arsenic
3. Copper
4. Mercury

Correct answer: 2. Arsenic

Explanation: (Refer: Rajesh Bardale - Principle of Forensic Medicine & Toxicology, 1st edition, pg no: 430)